All are live vaccines except -
1. 17 - D
2. Rubella
3. Salk
4. Measles

Correct answer: 3. Salk

Explanation: Ans. is 'c' i.e., Salk Salk vaccine is killed polio vaccine. 17 D is yellow fever live vaccine.